Renal parenchyma derived embryologically from?
1. Pronephros
2. Metanephros
3. Mesompehros
4. Cloaca

Correct answer: 2. Metanephros

Explanation: Development of Kidney: Secretory part of kidney:derived from metanephrons/metanephric blastyma Collecting part of kidney:derived from ureteric bud